Most common Extra intestinal Manifest of Amoebiasis
1. Liver abscess
2. Pleural Effusion
3. Lung atelectasis
4. Cardiac Tamponade

Correct answer: 1. Liver abscess

Explanation: Ans. (a) Liver AbscessRef: Bailey and Love 27th edition Page 1169* MC Extraintestinal Manifest of Amoebiasis - Amoebic Liver abscess* 1/3rd of cases of liver abscess have History of Amoebic; Diarrhea and the rest of the cases have subclinical Amoebic infection.* MC complication of amoebic liver abscess- peritoneal Rupture